Hyperkalemia is seen in
1. Type 1 RTA
2. Type 2 RTA
3. Type 3 RTA
4. Type 4 RTA

Correct answer: 4. Type 4 RTA

Explanation: Type - 1,2,3, - Hypokalemia.
Only type - 4 Hyperkalemia.